All of following are features of Ascher syndrome except:
1. Double upper lip
2. Tongue tie.
3. Blepharochalasis.
4. Non toxic thyroid enlargement.

Correct answer: 2. Tongue tie.